Following are the somatic therapies used in depression, except:
1. Electroconvulsive therapy
2. Deep brain stimulation
3. Transcranial magnetic stimulation
4. Ultrasound brain stem stimulation

Correct answer: 4. Ultrasound brain stem stimulation

Explanation: ECT, deep brain stimulation as well as Trans-cranial magnetic stimulation can be used for treatment of depression. Some other somatic therapy for depression: 1.ECT (Electroconvulsive therapy) It is indicated in- * Depression with suicide risk * Depression with stupor * Psychotic depression, treatment refractoriness 2.Repetitive Transcranial magnetic stimulation --> Non convulsive, no anesthesia 3. Vagal Nerve stimulation 4.Deep brain stimulation 5.Sleep deprivation 6. Phototherapy- used in depression with seasonal pattern